Which of the following is the functionally generated occlusal registration in an indirect gold casting technique?
1. Centric relation
2. Anatomic registration
3. Registration of the envelope of occlusion
4. Static registration of dynamic occlusion

Correct answer: 4. Static registration of dynamic occlusion

Explanation: An interocclusal record can be made using wax or elastomeric bite registration material of the dynamic occlusion for indirect restorations to minimise occlusal discrepancy.